The most common causative organism for lobar pneumonia is :
1. Staphylococcus aureus
2. Streptococcus pyogenes
3. Streptococcus pheumoniae
4. Haemophilus influenzae

Correct answer: 3. Streptococcus pheumoniae

Explanation: Answer is C (Stretptococcus pneumonia): 'Streptococcus pneumonia or pneumococcus is the most common cause of community acquired acute pneumonia -Robbins 7th/748 Lobar pneumonia refers to an acute bacterial infection that results in consolidation of a large portion of a lobe or an entire lobe. Streptococcus pneumonia produces a picture of lobar pneumonia.